In a normal individual erythropoiesis is completeed in how many days
1. 3
2. 7
3. 14
4. 20

Correct answer: 2. 7

Explanation: Erythropoiesis takes 7 days to complete in bone marrow